In leprosy nerves commonly involved are:
1. High ulnar, low median
2. High median, low ulnar
3. Triple nerve palsy
4. High radial, low median

Correct answer: 1. High ulnar, low median

Explanation: A i.e. High ulnar & low median